Proseal LMA (PLMA) a variant of LMA following extra features added except-
1. Gastric drain
2. Posterior cuff
3. Wire reinforced airway barred
4. Tracheal cuff

Correct answer: 4. Tracheal cuff

Explanation: PLMA is modified LMA. It is re-usable second-generation supraglottic airway device The laryngeal mask airway (LMA) is a supraglottic airway management device. The LMA is preferred for airway management in paediatric patients for short duration surgical procedures. The recently introduced ProSeal (PLMA), a modification of Classic LMA, has a gastric drainage tube placed lateral to main airway tube which allows the regurgitated gastric contents to bypass the glottis and prevents the pulmonary aspiration. ProSeal LMA is useful alternative to endotracheal intubation. fig. Proseal LMA